A patient of abdominal sepsis was started on empirical treatment with intravenous ampicillin and gentamicin. Regarding the treatment of this patient, which statement is most accurate ?
1. Empirical treatment of abdominal sepsis should always include a third generation cephalosporin
2. A drug active against anaerobe should be included in the antibiotic regimen
3. Combination of ampicillin and gentamicin provides good coverage for all likely pathogens
4. If the patient is severely allergic to ampicillin, then ceftriaxone should be used

Correct answer: 2. A drug active against anaerobe should be included in the antibiotic regimen